Which of the following orthodontic appliance allows "passive expansion"?
1. Transpalatal arch
2. Quad helix
3. Frankel
4. Rapid maxillary expansion

Correct answer: 3. Frankel